Fulminant Amoebic meningoencephalitis caused by -
1. Acanthamoeba
2. N.fowleri
3. E. Histolytic
4. E.coli

Correct answer: 2. N.fowleri

Explanation: Parasite invades cribriform plate Travels along olfactory nerves to brain Leads to a rapidly fatal condition known as primary amoebic meningo encephalitis (refer pgno:25 baveja 3 rd edition)